Second generation antihistaminics used in allergic rhinitis are :
1. Azelastine
2. Fexofenadine
3. Desloratadine
4. All of these

Correct answer: 4. All of these

Explanation: Chlorpheniramine and promethazine are first generation antihistaminics.